Which one of the following gastrointestinal disorders predisposes to urolithiasis -
1. Peutz - Jegher's syndrome
2. Short bowel syndrome
3. Familial polyposis coli
4. Ulcerative colitis

Correct answer: 2. Short bowel syndrome

Explanation: • Malabsorptive condition that arises secondary to removal of significant segments of the small intestine.
• Most common causes are Mesenteric infarction, Crohn’s disease, Trauma, Volvulus.